Abductors of vocal cord is
1. Lateral cricoarytenoids
2. Posterior cricoarytenoids
3. Thyro arytenoids
4. Cricothyroids

Correct answer: 2. Posterior cricoarytenoids

Explanation: i.e. (Posterior cricoarytenoids): (243-BDC-3-5th ed)Muscles acting on the Larynx|| |Movements Muscles1. Elevation of larynx Thyrohyoid, mylohyoid2. Depression of larynx Sternothyroid, sternohyoid3. Opening of larynx Thyroepiglotticus4. Closing inlet of larynx Aryepiglotticus5. Abductor of vocal cords Posterior cricoaryteroids only6. Adductor of vocal cords Lateral cricoarytenoids, transverse oblique arytenoids7. Tensor of vocal cords Cricothyroids8. Relaxor of vocal cords Thyroarytenoids(i) Cricothyroid is supplied by external laryngeal nerve(ii) Rest of the intrinsic muscle - recurrent laryngeal nerve